Which of the following drugs is MOST suitable for a 45-year old diabetic with blood pressure 150/95 mmHg?
1. Lisinopril
2. Amlodipine
3. Propranolol
4. Hydrochlorothiazide

Correct answer: 1. Lisinopril

Explanation: Answer- A. LisinoprilAn ACE inhibitor is the f.rst choice for comorbid diabetes and renal disease and angiotensin II receptor blocker is the first choice for comborbid L.V.H.